"Interface dermatitis" is histological feature of
1. Psoriasis
2. Lichen planus
3. Pityriasis rosea
4. Dermatophytosis

Correct answer: 2. Lichen planus